Which of the following is not true about Rubella?
1. Caused by DNA virus of Toga family
2. There is no known carrier state for postnatally acquired rubella
3. Rubella vaccine is live attenuated with strain RA 27/3
4. Risk of transmission and severity maximum in 1st trimester of pregnancy

Correct answer: 1. Caused by DNA virus of Toga family

Explanation: Rubella is caused by RNA virus of Toga family. Source-only case. No carrier. Once infected provides life long immunity. Congenital infection :- Risk of transmission and severity is maximum in 1st trimester of pregnancy. After 5th month, therisk is negligible. Congenital rubella :- classical triad -ear defect,ocular defect,cardiac defect. Vaccination:- RA27/3 live attenuated .